Abnormality seen in ADHD is -
1. Hyperactivity
2. Hallucinations
3. Delusion
4. All of the above

Correct answer: 1. Hyperactivity

Explanation: Ans is 'a' i.e. Hyperactivity o Characteristic triad of Attention deficit hyperactivity disorder includei. Hyperactivity,ii. Impulsiveness andiii. Inattention (distractibility or lack of concentration).